Which of the following is NOT used in post-exposure prophylaxis for HIV ?
1. Zidovudine + Lamivudine
2. Tenofovir + emtricitabine
3. Stavudine + Didanosine
4. Acyclovir

Correct answer: 4. Acyclovir

Explanation: The guideline for post exposure prophylaxis in AIDS is dual NRTIs for low risk exposures,with addition of either a PI or efavirenz in high risk exposures.Tenofovir together with emtricitabine is the most widely used dual NRTI combination . Acyclovir is deoxiguanosine anlogue antiviral drug used as an anti herpes virus drug. Reference .. Harrison20th edition pg 897